Which of the following has highest electrophoretic mobility and least lipid content:
1. Chylomicrons
2. HDL
3. LDL
4. VLDL

Correct answer: 2. HDL

Explanation: B i.e. HDL